Massive bleeding per rectum in a 70 yr old patient is due to ?
1. Diverticulosis
2. Carcinoma colon
3. Colitis
4. Polyps

Correct answer: 1. Diverticulosis

Explanation: Ans. is 'a' i.e., Diverticulosis Causes of lower GI bleed in adults 1) Local anorectal diseases - hemorrhoids (most common), anal fisures.2) Diverticulosis (2nd MC)3) Vascular ectasias, angiodysplasias4) Neoplasm (polyps & adenocarcinoma)5) Colitis (Ischemic, infectious, & IBD)Although hemorrhoids are the MC cause of bleeding per rectum, it causes small bleed.Diverticulosis is the MC cause of massive bleeding per rectum.Diverticular bleeding is abrupt in onset usually painless, sometimes massive, and often from the right colon. The bleeding stops spontaneously in approx. 80% of patients and rebleeds in 20-25% of pts.